Call exner body is seen in -
1. Leydig cell tumor
2. Granulosa cell tumor
3. Brenner tumor
4. Ovarian fibroma

Correct answer: 2. Granulosa cell tumor

Explanation: Ans. is 'b' i.e., Granulosa cell tumor FeatureOvarian tumoro Call-Exner bodieso Reinke crystalloidso Psammoma bodieso Pseudomyxoma peritoneio Signet ring cellso Rokitansky's protuberanceo Granulosa-theca cell tumoro Hilus cell tumors (pure leydig cell tumor)o Serous cystadenomao Mucinous cystadenomao Metastatic krukenberg's tumorso Mature (benign) teratoma (Dermoid cyst)